All are seen in marasmus except?
1. Hunger
2. Wasting
3. Loose folds skin
4. Apathy

Correct answer: 4. Apathy

Explanation: Ans. (d) ApathyRef: Nelson 18th ed., Chapter 43* Marasmus is characterized by weight loss and listlessness until emaciation results :MONKEY FACIES* The skin loses turgor and becomes wrinkled and loose as subcutaneous fat disappears from buttocks leading to BAGGY PANTS appearance.* Loss of fat from the sucking pads of the cheeks often occurs late in the course of the disease; thus, the infants face may retain a relatively normal appearance compared with the rest of the body.* Most patients are constipated, but some present with starvation diarrhea* These children are irritable and have a voracious appetite. Apathy is a feature of kwashiorkor.* The abdomen has muscle wasting leading to pot belly with the intestinal pattern readily visible.* As the condition progresses, the temperature usually becomes subnormal and the pulse slows.